Microalbuminuria is defined as protein level of
1. 100-150 mg/d
2. 151-200 mg/d
3. 30-300 mg/d
4. 301-600 mg /d

Correct answer: 3. 30-300 mg/d

Explanation: The earliest manifestation of diabetes nephropathy is the apparence of low amounts of albumin in the urine (>30mg/day,but <300 mg/day) that is, Microalbuminuria Microalbuminuria is also a marker for greatly increased cardiovascular morbidity and mortality for person's with either type 1 or type 2 Refer robbins 8/e p1145